Drug showing additional nitric oxide activity:
1. Atenolol
2. Metoprolol
3. Bisoprolol
4. Nebivolol

Correct answer: 4. Nebivolol

Explanation: Ans. D. NebivololAll the drug mentioned are selective beta 1 blockers. Out of all nebivolol has additional nitric oxide activity which increase the level of cGMP and thus causing vasodilation.